Kala-azar is transmitted by
1. Reduvid bug
2. Sandfly
3. Tsetse fly
4. Mosquito

Correct answer: 2. Sandfly

Explanation: 47. Sandfly In India Kala-azar is transmitted from person to person by the bite of the female phlebotomine sandlfy, P. argentipes. Transmission may also take place by contamination of the bite wound or by contact when the insect is crushed during the act of feeding. Remember Visceral leishmaniasis or Kala-azar is transmitted by the sandfly - Phlehotomine argentipes Cutaneous leishmaniasis is transmitted by the sandfly - P. paparasi and P. sergenti.